Lipid soluble plasma membrane associated antioxidant -
1. Ubiquitin
2. Vitamin E
3. Vitamin C
4. Glutathione

Correct answer: 2. Vitamin E

Explanation: Ans. is 'b' i.e., Vitamin E"Alpha-tocopherol is the only lipid soluble, chainbreaking antioxidant present in biological membranes".o The main function of vitamin E is as a chain-breaking, free radical-trapping antioxidant in cell membranes and plasma lipoproteins by reacting with lipid peroxide radicals formed by peroxidation of polyunsatured fatty acid.Antioxidant systemsA) Non-enzymatic systemi) Lipid soluble membrane associated antioxidants: Vitamin E / tocopheral (is most important), [}- carotene.ii) Water soluble reductants : Glutathione, vitamin C (ascorbate).iii) Tissue proteins: Transferrin, ferritin, lactoferrin, ceruloplasmin.B) Enzymatic system# It includes catalase, superoxide dismutase (SOD) and glutathione peroxidase.